Which of the following cranial nerves does not carry parasympathetic outflow ?
1. Oculomotor
2. Trochlear
3. Facial
4. Glossopharyngeal

Correct answer: 2. Trochlear

Explanation: - Parasympathetic cranial nerves

3, 7, 9, 10

- Parasympathetic Sacral nerves

S2, S3, S4